One unit of packed RBC increases the blood hemoglobin by
1. 1 g/dl
2. 6-7 g/dl
3. 8-9 g/dl
4. None

Correct answer: 1. 1 g/dl